Attachment to the first rib is all Except
1. Scalenius-anterior
2. Scalenius-posterior
3. Scalenius-medius
4. Suprapleural membrane

Correct answer: 2. Scalenius-posterior

Explanation: B. i.e. Scalenius posterior